Corticosteroid of choice in Acute Adrenal Insufficiency is:
1. Fludrocortisone
2. Hydrocortisone
3. Dexamethasone
4. Prednisolone

Correct answer: 2. Hydrocortisone

Explanation: Hydrocortisone